All are characteristics of Rett syndrome Except
1. Microcephaly
2. Autistic behavior
3. Autosomal recessive inheritance
4. Peculiar wringing motion of the hands

Correct answer: 3. Autosomal recessive inheritance

Explanation: The genetics of Rett syndrome has not yet been determined. Although it is thought to be a genetic syndrome, no inheritance pattern and no enzymatic deficiency or other metabolic explanation has been established for Rett syndrome. The other characteristics (autistic behavior, microcephaly, the peculiar wringing motion of the hand, dementia) are common in patients with this disorder